The rate adjusted to allow for the age distribution of the population is:
1. Perinatal mortality rate
2. Crude mortality rate
3. Fertility rate
4. Age standardized mortality rate

Correct answer: 4. Age standardized mortality rate

Explanation: Ans. is 'd' ie Age standardized mortality rate (Ref: Park 20/e, p 55 (18/e, p53); Repeat Nov03, Q27)Age standardized mortality rate allows to remove the confounding effect of different age structures, while comparing the death rates of two populations.